Fasciculations are seen in:
1. Motor neuron disease
2. Duchenne's muscular dystrophy
3. Polymyositis
4. None of the above

Correct answer: 1. Motor neuron disease

Explanation: Answer is A (Motor neuron disease): Fasciculation is a visible or palpable twitch within a single muscle due to spontaneous discharge of one motor unit. Disease of motor neurons are associated with fasciculations' - Harrison's